Peripheral edema in CCF is due to -a) Increased sympathetic toneb) ANP (atrial natriuretic peptide)c) Increased hydrostatic pressured) Pulmonary hypertension
1. a
2. bc
3. ac
4. b

Correct answer: 3. ac